Muscle spindle
1. Receptor for stretchreflex
2. Antigravity muscle
3. Multisynaptic reflex
4. Excited by strech and contraction of muscle

Correct answer: 1. Receptor for stretchreflex

Explanation: Muscle spindles are receptors of stretch reflex or monosynaptic reflex.(Ref. Textbook of physiology N Geetha 2nd edition page no.514)